The principle that is the spinal cord dorsal roost are sensory and the ventral roots are motor is known as
1. Laplace's law
2. Bell-Magendie Law
3. Frank-Starling Law
4. Weber-Fechner Law

Correct answer: 2. Bell-Magendie Law

Explanation: Ans. (b) Bell-Magendie Law(Ref: Ganong, 25th ed/p.229)Bell-Magendie law:#This law states that "Spinal dorsal roots contain sensory fibers and ventral roots contain motor fibers"